Anterior cardiac vein open into ?
1. Right atrium
2. Great cardiac vein
3. Coronary sinus
4. Marginal vein

Correct answer: 1. Right atrium

Explanation: The anterior cardiac veins drain the anterior portion of the right ventricle, cross the coronary groove, and empty directly into the right atrium. Anterior cardiac veins do not drain into the coronary sinus. Also Know:The coronary sinus is the largest vein draining the heart muscle and lies in the coronary sulcus. The coronary sinus collects most of the venous return from the great, middle, and small cardiac veins and returns the venous blood to the right atrium. The coronary sinus opening in the right atrium is superior to the septal leaflet of the tricuspid valve.